In Acromegaly All of the following are seen EXCEPT
1. Visceromegaly
2. Decreased sweating
3. Hypertension
4. Soft tissue and bone enlargement

Correct answer: 2. Decreased sweating

Explanation: (B) Decreased sweating # Features of Acromegaly: Acral bony overgrowth results in Frontal bossing, Increased hand & foot size, Mandibular enlargement with Prognathism, & Widened space between the lower incisor teeth.> In children & adolescents, initiation of GH hypersecretion prior to epiphyseal long bone closure is associated with the development of pituitary gigantism.> Soft tissue swelling results in increased heel pad thickness, increased shoe or glove size, ring tightening, characteristic coarse facial features, & a large fleshy nose.> Other commonly encountered clinical features include: Hyperhidrosis (Increased sweating), Deep & hollow-sounding voice, Oilv skin, Arthropathy Kyphosis, Carpal tunnel svndrome. Proximal muscle weakness & Eatigue. Acanthosis nigricans, & Skin tags.> Generalized Visceromegaly occurs, including Cardiomegaly, Macroglossia, Thyroid gland enlargement & Decreased libido.